True about psychoactive drugs is?
1. Can cause sexual dysfunction
2. Used in OCD
3. Used in psychotic disorders and Used in drug withdrawal
4. All of these

Correct answer: 4. All of these

Explanation: Ans: D. All of theseAll the above mentioned options are true about Psychotropic drugsA psychoactive drug or psychotropic substance is a chemical substance that acts primarily upon the central nervous system where it alters brain function, resulting in temporary changes in perception, mood, consciousness and behaviour.In addition , several psychoactive substances are currently employed to treat various addictions. These include acamprosate or naltrexone in the treatment of alcoholism, or methadone or buprenorphine maintenance therapy in the case of opioid addiction.